A 31-year-old man with AIDS complains of difficulty in swallowing. Examination of his oral cavity demonstrates whitish membranes covering much of his tongue and palate. Endoscopy also reveals several whitish, ulcerated lesions in the esophagus. These pathologic findings are fundamentally caused by loss of which of the following immune cells in this patient?
1. B lymphocytes
2. Helper T lymphocytes
3. Killer T lymphocytes
4. Monocytes/macrophages

Correct answer: 2. Helper T lymphocytes

Explanation: The fundamental lesion in such case is infection of CD4+ (helper) T lymphocytes There is depletion of this cell population and impaired immune function. As a result, patients with AIDS usually die of opportunistic infections. HIV does infect the monocyte/macrophage lineage (choice D), but infected cells exhibit little if any cytotoxicity. Diagnosis: AIDS